Chalcosis is deposition of:
1. Iron
2. Calcium
3. Copper
4. Lead

Correct answer: 3. Copper

Explanation: Ans. C: Copper A deposit of fine particles of copper in the lungs or other tissues is known as chalcosis.